Antiplatelet drug which inhibits cyclo-oxygenase 1 enzyme is?
1. Aspirin
2. Clopidogrel
3. Tirofiban
4. Dipyridamole

Correct answer: 1. Aspirin

Explanation: Ans. is 'a' i.e., Aspirin